Most common anomaly of upper urogenital tract is
1. Uretero pelvic junction stenosis
2. Ectopic uretheral opening
3. Ureterocele
4. Ectopic ureter

Correct answer: 1. Uretero pelvic junction stenosis

Explanation: The most common obstructed lateral fusion defects is unilateral obstruction and is most commonly seen in women with complete duplication of the reproductive tract(double uterus, cervix and vagina) . Unilateral UPJ obstruction is the most common prenatally detected obstructive disease, often picked up on maternal ultrasounds during pregnancy. Reference: GHAI Essential pediatrics, 8th edition